Drug amphotericin B is used for treatment of :
1. Sleeping sickness
2. Kala azar
3. Malaria
4. Filaria

Correct answer: 2. Kala azar